A 10-year-old boy presents with increase bilirubin, increased bilirubin in urine and no urobilinogen Diagnosis is:
1. Gilbert syndrome
2. Hemolytic jaundice
3. Viral hepatitis
4. Obstructive jaundice

Correct answer: 4. Obstructive jaundice

Explanation: Ans. D. Obstructive jaundiceLaboratory tests in three different types of JaundiceConditionSerum BilirubinUrine UrobilinogenUrine BilirubinNormalDirect: 0.1-0.4mg/dL Indirect: 0.2-0.7mg/dL0-4mg/24hAbsentHemolytic anemiaIndirectIncreasedAbsentHepatitisDirect and indirectDecreased if micro-obstruction is presentPresent if micro-obstruction occursObstructive jaundiceDirectAbsentPresent